In the demographic study of population, a country with low birth rate & a low death rate is in following phase
1. 1st phase
2. 2nd phase
3. 3rd phase
4. 4th phase

Correct answer: 4. 4th phase

Explanation: Fourth stage of demographic cycle is low stationary Characterised by a low birth and low death rate with the result that the population becomes stationary Reference: Park's textbook of preventive and social medicine, 23rd edition, Page no: 479